Which of the following is an inophor -
1. Carboxin
2. 2, 4 dinitrophonal
3. Atractiloside
4. Valinomycin

Correct answer: 4. Valinomycin

Explanation: Ans. is 'd' i.e., Valinomycin Ionophors Ionophors are ion carrier molecules. These are lipid soluble (lipophilic) compounds that increase the permeability of lipid bilayers to certain ions. These are two types of ionophors.Mobile ion carriers : - These molecules are capable by binding and carrying specific cations (other than Fr) through mitochondrial membrane. Oxidative phosphorylation can be prevented by certain ionophors, e.g., Valinomycin. They differ from uncouplers in that they promote the transport of cations other than H- through the membrane and abolish the membrane potential and proton gradient (pH gradient) across the membrane and phosphorylation is therefore completely inhibited, i.e., ATP synthesis is inhibited.Acetaldehyde dehydrogenase dehydrogenase " v:shapes="_x0000_s1028">Channel formers : - These ionophors form the channels allowing ions to pass through, e.g., gramicidine, nigricine.